Biggest fetal skull diameter is
1. Biparietal
2. Bitemporal
3. Mento vertical
4. Submentobregmatic

Correct answer: 3. Mento vertical

Explanation: Ans. (c) Mento vertical